Energy expenditure during normal breathing
1. 25% - 50% of total energy spent
2. 50% - 75% of total energy spent
3. 15% - 20% of total energy spent
4. 2% - 3% of total energy spent

Correct answer: 4. 2% - 3% of total energy spent